Posterior dislocation of hip is characterized by-
1. Marked shortening of limb
2. Lengthening of lim
3. No change in limb length
4. Extension deformity

Correct answer: 1. Marked shortening of limb

Explanation: * There is typical deformity of flexion, adduction and internal rotation with marked shortening of limb. Ref: Apley's 9th/e p.844